Cause of jaundice in day 1 of baby - A/E ?
1. Rh incompability
2. ABO incompability
3. Prematurity
4. Breast milk jaundice

Correct answer: 4. Breast milk jaundice

Explanation: Ans. is 'd' i.e., Breast milk jaundice Cause of jaindice with 24 hour Hemolyses Rh, ABO, G-6PD def, spherocytosis Decrease conjugation (prematurity) Extravasated blood cephal hematoma. Prolonge jaindice beyond 3 weeks Breast milk jaindice Cephal hematoma Ongoing hemolytic disease G-6 PD def. Hypothyroidism